Diffuse toxic goitre is characterized by -a) Primary thyroid diseaseb) Secondary thyroid diseasec) It is due to autoimmune thyroid stimulating hormone (TSH) antibodyd) It is due to TSH receptor antibody
1. b
2. ad
3. ac
4. ab

Correct answer: 2. ad